Which of the following is not a landmark of facial nerve during superficial parotidectomy?
1. Tragus
2. Mastoid process
3. Posterior belly of digastric muscle
4. Zygomatic bone

Correct answer: 4. Zygomatic bone

Explanation: Ans. (d) Zygomatic bone* Surgical landmarks to the facial nerve include the tympanomastoid suture line, the tragal pointer, and the posterior belly of the digastric muscle.* The tympanomastoid suture line lies between the mastoid and tympanic segments of the temporal bone and is approximately 6-8 mm lateral to the stylomastoid foramen. The main trunk of the nerve can also be found midway between (10 mm posteroinferior to) the cartilaginous tragal pointer of the external auditory canal and the posterior belly of the digastric muscle.